A family where all of its members are playing a part in it's management is known as
1. Elementary family
2. New family
3. 3rd generation family
4. Communal family

Correct answer: 4. Communal family

Explanation: In industrialized and urbanized communities, there is less marked distinction between the functions of men and women. The young wife in India nowadays brings not only dowry but a professional or semi-professional education and she seeks a professional career. The steady enlargement of the freedom of wives and even children in the family is leading towards a "communal family" where all members play a part in its management. Ref: Park; 23rd ed; Pg 684